Which of the following variables is measured on the ordinal scale
1. Type of anemia
2. Severity of anemia
3. Hemoglobin level
4. Serum ferritin level

Correct answer: 2. Severity of anemia